Acute Hepatitis B infection is diagnosed by?
1. HbsAg
2. HbcAg
3. HbsAg + IgM anti-HBc antibody
4. HbsAg + HbcAg

Correct answer: 3. HbsAg + IgM anti-HBc antibody

Explanation: HBsAg Anti-HBs Anti-HBcAg HBeAg Acute hepatitis B, High infectivity + - IgM + Window period - - IgM - Chronic Hepatitis B + - IgG + Cured - + IgG - Vaccination - + - -